CSF Rhinorrhea occurs d/t of:
1. Roof of orbit
2. Cribiform plate of ethmoidal bone
3. Frontal sinus
4. Sphenoid bone

Correct answer: 2. Cribiform plate of ethmoidal bone

Explanation: Ans. is 'b' i.e. Cribriform plate of ethmoid bone Commonest area of causing CSF Rhinorrhea - cribriform plate of ethmoid bone as it is extremely thin.Other possible areas of causing CSF RhinorrheaFrontal sinus (Posterior wall)floor of the anterior cranial fossa.Difference between CSF Rhinorrhea & allergic or vasomotor rhinitisCSF contains glucose which can be demonstrated by chemical tests.CSF when collected into a test tube and allowed to stand, it remains clear in contradistinction to nasal discharge that leaves a sediment because of mucus and other proteins.Nasal discharge stiffens the handkerchief and CSF dries soft in it.Treatment:Prophylactic antibiotics & X-ray *If more than 2 wks then correct it surgically.